Multifactorial causation of disease theory was proposed by ?
1. Louis pasteur
2. Pettenkofer
3. Robert koch
4. Aristotle

Correct answer: 2. Pettenkofer

Explanation: Ans. is 'b' i.e., Pettenkofer